Weil-Felix reaction with OXK antigen indicates infection with
1. R. tsustsugamushi
2. R. mooseri
3. R. quintana
4. R. akari

Correct answer: 1. R. tsustsugamushi

Explanation: Weil-Felix reaction:
Serological diagnosis of Rickessial infection. Weil-Felix reaction is a Heterophile agglutination test. Antigens used are Nonmotile strains of Proteus vulgaris (OX 19, OX 2), Proteus mirabilis (OX K).
Mechanism: Proteus and Rickessiae will share alkali stable carbohydrate antigen will be basis of the Weil-Felix reaction. Weil-Felix is a tube agglutination test. It is a simple and useful test for the diagnosis. The Antibody rises in 2nd week of illness and reaches the peak and get decline rapidly during the course of convalescence.